Reversible change from on cell type to other is known as?
1. Hyperplesia
2. Hypertrophy
3. Metaplesia
4. Dysplasia

Correct answer: 3. Metaplesia

Explanation: Ans. is 'c' i.e., Metaplesia o Metaplasia is an adaptive change in which one adult (mature) cell type is replaced by another adult (mature) cell. It is completely reversibleo Hypertrophy refers to an increase in the size of cells without increase in the number, resulting in an increase in the size of tissue.o Hyperplasia refers to an increase in number of cells without increase in cell sizeo Dysplasia is disordered growth with lack of uniformity of individual cells.